Hep Burn Osteometric board is used to measure?
1. Length of long bones
2. Length of flat bones
3. Breadth of long bones
4. Breadth of flat bones

Correct answer: 1. Length of long bones

Explanation: Ans. 'a' i.e., Length of long bones Hep Burn Osteometric board is used to accurately measure length of long bones.